Most sensitive test for Treponema ?
1. VDRL
2. RPR
3. FTA-ABS
4. Kahn

Correct answer: 3. FTA-ABS

Explanation: Ans. is 'c' i.e., FTA-ABS test TPPA is the most sensitive serological test overall (considering all stages of syphilis). All the serological tests have 100% sensitivity in secondary stage of syphilis. Amongst the given options FTA - ABS is most sensitive. Sensitivity of serodiagnostic tests in syphilis Test Primary Secondary Latent Tertiary * VDRL /RPR 78 (74-87) 100 95 (88-100) 71(37-94) * FTA-ABS 84 (70-100) 100 100 96 * TP - PA 89 100 100 NA